All statement about Plummer-Vinson syndrome are true except:
1. Commonly leads to carcinoma in lower third of oesophagus
2. Common with iron deficiency
3. Common in females
4. Premalignant

Correct answer: 1. Commonly leads to carcinoma in lower third of oesophagus

Explanation: (a) Commonly leads to carcinoma in lower third of oesophagus(Ref. Sleisenger Gastrointestinal & Liver Disease, 8th ed.,; 851)Plummer-Vinson syndrome affects the postcricoid area and upper part of oesophagus.